All are true regarding fetal BBC's except –
1. Elevated 2,3 DPG
2. Decreased carbonic anhydrase activity
3. Decreased life span
4. High RBC volume

Correct answer: 1. Elevated 2,3 DPG

Explanation: Fetal RBC contains less 2, 3 DPG.